Which one of the following is NOT used in testing for adequate pasteurization of milk?
1. Phosphatase test
2. Coliform count
3. Standard plate count
4. Methylene blue reduction test

Correct answer: 4. Methylene blue reduction test

Explanation: Tests used to detect adequate Pasteurization of Milk are(sufficiency of pasteurization): - Phosphatase Test: Widely used test - Standard Plate Count: Enforced limit is 30,000 bacterial count per ml of pasteurized milk. - Coliform Count: Standard is Coliform be absent in 1 ml of milk. Methylene Blue Reduction Test : - Is an indirect method for detection of microorganisms in milk . - Blue colour disappears from milk when held at a uniform temperature of 37degC. - Milk which remains blue the longest, is of the best quality.